All are true about digoxin except:
1. Causes bradycardia due to increased vagal tone
2. Acts by inhibiting Na+K+ ATPase in myocardial fibres
3. It is 95% plasma protein bound
4. Primarily excreted unchanged by glomerular filtration

Correct answer: 3. It is 95% plasma protein bound

Explanation: Ans. (C) It is 95% plasma protein bound(Ref: KDT 8th/e p559)Plasma protein binding of digitoxin is high (95%) whereas it is low (70-80%) for digoxin.